Negri bodies are located in -
1. Astrocytes
2. Oligodendroglia
3. Neurons
4. Microglia

Correct answer: 3. Neurons

Explanation: Negrie bodies are abundant in brai cells(cerebellum&hippocampus) REF:p> ANATHANARAYANAN MICROBIOLOGY NINTH EDITION PAGE.531